The drug which can be used to delay the progression of aortic dilatation in marfan syndrome is:
1. Propranolol
2. Vitamine E
3. ACE inhibitor
4. Idebenone

Correct answer: 1. Propranolol

Explanation: Propranolol is used to lower blood pressure and thereby delay or prevent aortic dilation. Reference: Harrisons Principles of Internal Medicine, 18th Edition, Page 3213